A new born baby with acute respiratory distress on day 1. X Ray chest PA view showed neumerous gas luscencies in entire left hemithorax, most likely diagnosis is
1. Congenital lobar Emphysema
2. Pneumatocoel hernia
3. Congenital diaphragmatic hernia
4. Congenital lung cyst

Correct answer: 3. Congenital diaphragmatic hernia

Explanation: C i.e. Congenital diaphragmatic hernia Left sided & whole lung involvementQ points towards diagnosis of Congenital diaphragmatic hernia, Cong. cystic .adenomatoid malformation (CCAM) and Congenital lobar emphysema all can present with multicystic Contralateral mediastinal shift & respiratory distress.